Palmomental reflex is seen in lesions of -
1. Frontal lobe
2. Parietal lobe
3. Temporal lobe
4. Occipital lobe

Correct answer: 1. Frontal lobe

Explanation: Ans. is `a' i.e., Frontal lobe Palmomental reflex o A stimulus to the thenar area of the hand causes a reflex contraction of ipsilateral orbicularis oris and mentalis muscles. o It is a primitive reflex which is inhibited by frontal lobe as the child grows. o In frontal lobe lesions, inhibitory effect of frontal lobe is released ---> appearance of palmomental reflex.